17-OH progesterone level in congenital adrenal hyperplasia in 1 year old child (in ng/dl)-
1. >600
2. 150-300
3. 300-600
4. <150

Correct answer: 1. >600

Explanation: Ans. is 'a' i.e., > 600 (best probable answer) o Normal and abnormal values of 17-OH progesterone differ for babies bom with low birth weight,o In general, normal results are as follows:Newborn cord blood - 1,000 - 3,000 ng/dLBabies more than 24 hours old - less than 100 ng/dLAdults - less than 200 ng/dLNote: ng/dL = nanograms per deciliter.o High levels of 17-OH progesterone may be due to:Tumors of the adrenal glandCongenital adrenal hyperplasia (CAH)o In infants writh CAH, I7-OHP levels range from 2,000 - 40,000 ng./dL